Which base is not found in DNA?
1. Adenine
2. Guanine
3. Cytosine
4. Uracil

Correct answer: 4. Uracil